Mechanism of action of sulfonamide is?
1. Inhibit bacterial cell wall synthesis
2. Inhibits translocation of mRNA
3. Inhibits folate synthesis
4. Inhibits bacterial respiration

Correct answer: 3. Inhibits folate synthesis

Explanation: Ans. is 'c' i.e., Inhibits folate synthesis Sulfonamides are bacteriostatic and act by inhibiting folic acid synthesis by inhibiting enzyme folate synthatase.